Endarteritis obliterans is seen in
1. Marfan's syndrome
2. Turner's syndrome
3. Neurosyphilis
4. Ankylosing spondylitis

Correct answer: 3. Neurosyphilis

Explanation: Ref Davidsons 23e p1125